Egg on side appearance in chest x-ray is seen in
1. TGA
2. TAPVC
3. Constrictive pericarditis
4. TDF

Correct answer: 1. TGA

Explanation: Egg on side - Uncorrected TGA.
Egg in cup - Constrictive pericarditis.